NOT included in immunization schedule:
1. Kala azar
2. Polio
3. Hepatitis
4. BCG

Correct answer: 1. Kala azar

Explanation: Ans. (a) KalaazarRef. K. Park 21sted. /113* Indian Academy of Pediatrics (LAP) approved following vaccines (Kala Azar is NOT included in schedule)* Following vaccines are approved by LAP: Polio, hepatitis, BCG, DPT, Hib, MMR, TT, typhoid.